An outbreak of sepsis caused by Staphylococcus aureus has occurred in the newborn nursery. You are called upon to investigate. According to your knowledge of the normal flora, what is the most likely source of the organism?
1. Nose
2. Colon
3. Vagina
4. Throat

Correct answer: 1. Nose

Explanation: Nose is the common site of residence for Staphylococcus Ref: Textbook of Microbiology Baveja 4th ed pg:178